Acidic amino acids are
1. Asparagine
2. Arginine
3. Glutamine
4. None

Correct answer: 4. None

Explanation: aspartic acid and glutamic acid are proton donors. At physiologic pH, the side chains of these amino acids are fully ionized, containing a negatively charged carboxylate group (-COO-). They are, therefore, called aspartate or glutamate to emphasize that these amino acids are negatively charged at physiologic pH Asparagine and Glutamine are neutral amino acids. Ref: LIPPINCOTT's Biochemistry 6th Edition Pg No. 5.